Which of the following is seen in idiopathic thrombocytopenic purpura:
1. Thrornbocytosis
2. Increased prothrombin time
3. Increased bleeding time
4. Increased clotting time

Correct answer: 3. Increased bleeding time